Stereotactic radiosurgery is done for:
1. Glioblastoma multiforme
2. Medulloblastoma spinal cord
3. Ependymoma
4. AV malformation of brain

Correct answer: 4. AV malformation of brain

Explanation: Ans. (d) AV malformation of brainRef: Sabiston 19/e p 1900-1902* Stereotactic Surgery involves delivery of concentrated dose of RT to a defined volume of brain using Gamma knife or modified linear accelerator* Used in# Metastatic tumors# AV malformations# Benign Cranial nerve lesions# Trigeminal neuralgia